Index finger infection spreads to ?
1. Thenar space
2. Mid palmar space
3. Hypothenar space
4. Flexion space

Correct answer: 1. Thenar space

Explanation: Ans. is 'a' i.e., Thenar space